Id, ego and super ego are part of:
1. Piaget's theory
2. Freud's psychoanalytical theory
3. Stone and Churchill's theory
4. Erickson's theory

Correct answer: 2. Freud's psychoanalytical theory

Explanation: Freud’s Psychodynamic Theory
According to Freud, what humans do, why they do it, what and how humans are largely determined during the first few years of life during which the person develops characteristic ways of dealing with internal (sexual) drives and conflicts. Differences in personality originate from differences in childhood sexual experiences.
Structure of Personality
The structure of personality is composed of three mental structures, the id, the ego and the superego. What a person thinks, feels and does is a function of the actions and interactions of these three hypothetical structures called psychic triad, each of these structures developing at a different time.